Which is the most commonly fractured carpal bone?
1. Hamate
2. Lunate
3. Scaphoid
4. Capitates

Correct answer: 3. Scaphoid

Explanation: Ans. C ScaphoidRef: BDC, 6th ed. vol. 1 pg. 26* The scaphoid is a BOAT SHAPED carpal bone and has a tubercle in its lateral side.* Scaphoid bone is the most commonly fractured carpal bone.* Lunate (crescent shaped) is the 2nd most commonly fractured carpal bone.* Scaphoid fracture is usually caused by a fall on an outstretched hand with the weight landing on the palm.* Scaphoid bone forms the floor of the anatomical snuffbox.* It articulates with the following bones: radius, lunate, capitate, trapezium, and trapezoid.